Richest source of Essential fatty acids
1. Safflower oil
2. Corn oil
3. Sunflower oil
4. Soyabean oil

Correct answer: 1. Safflower oil

Explanation: Safflower oil contains 73% linoleic acid. 
Sunflower oil - 56%.
Corn oil  - 57%.